Friedlander's bacillus is -
1. E. coli
2. Pseudomonas aeruginosa
3. Klebsiella pneumoniae
4. Vibrio parahemolyticus

Correct answer: 3. Klebsiella pneumoniae

Explanation: Ans. is 'c' i.e., Klebsiella pneumoniae "Klebsiella pneumoniae is also known as Friedlander's bacillus or Bacillus mucosus capsulatus".KLEBSIELLAo There are four important species of klebsiella1. K. pneumoniae (most important)2. K. ozaenae3. K. rhinoscleromatis4. K. oxytoca (rare)o Infectious syndromeso DiagnosisDiagnosis is made by culturing appropriate specimens.TreatmentCarbapenems (imipenem) - DOC.